Who said: "Skin is the best dressing"?
1. Joseph Lister
2. John Hunter
3. James Paget
4. McNeill Love

Correct answer: 1. Joseph Lister

Explanation: Ans. is 'a' i.e., Joseph Lister